Contacts of Sputum positive tuberculosis patient who should be given preventive chemotherapy
1. Children below 6 years
2. Old people
3. Children above 6 years
4. Pregnant women

Correct answer: 1. Children below 6 years